The blood in the vessels normally does not clot because -
1. Vitamin K antagonists are present in plasma
2. Throbin has a positive feedback on plasminogel
3. Sodium citrate in plasma chelates calcium ions
4. Vascular endothelium is smooth and coated with glycocalyx

Correct answer: 4. Vascular endothelium is smooth and coated with glycocalyx